Sinusitis most common complication-
1. Orbital cellulitis
2. Meningitis
3. Brain abscess
4. Septicemia

Correct answer: 1. Orbital cellulitis